Which of the following is contraindicated during endotracheal intubation:
1. Head elevation
2. Preoxygenation with 100% oxygen
3. Introduction of blade toward the right side of oropharynx
4. Neck flexion at atlanto-occipital joint

Correct answer: 4. Neck flexion at atlanto-occipital joint

Explanation: Ans. D: Neck flexion at atlanto-occipital joint Technique of intubation includes: Patient should be supine and there should be extension at the Atlanto-occipital joint and flexion at the cervical spine